A male is presenting with a violaceous papule which is pruritic. There is pterygium of nail with cicatracial alopecia. Diagnosis is –
1. Psoriasis
2. Pityriasis rosea
3. Lichen planus
4. Seborrheic dermatitis

Correct answer: 3. Lichen planus

Explanation: Information we got :-


Lesion is pruritic
No scales
Violaceous papule
Pterygium of nail
Cicatracial alopecia


All are seen in Lichen planus.